Ergot alkaloid commonly used to prevent postpartum haemorrhage is
1. methyp ergometrine
2. ergotamine
3. dihydroergotamine
4. dihydroergotoxine

Correct answer: 1. methyp ergometrine

Explanation: Methylergometrine (methergin) is administered during delivery of anterior to prevent postpartum hemorrhage Ref-KDT 6/e p322